Most common extraintestinal complication of ulcerative colitis is
1. Arthritis
2. Uveitis
3. Episcleritis
4. Pyoderma gangrenosum

Correct answer: 1. Arthritis

Explanation: M/c Arthritis
Peripheral arthritis - responds to treatment
Axial arthritis -does not responds to treatment.